Bacteria implicated in dental caries is
1. Streptococcus mutans
2. Pneumococci
3. Streptococcus pyogenes
4. Streptococcus aureus

Correct answer: 1. Streptococcus mutans

Explanation: Streptococcus mutans is an alpha Hemolytic streptococcus which is a part of the normal flora of the oral cavity. This gram-positive coccus is commonly found in the mouth from where it can spread to cause dental caries or endocarditis in individuals with risk factors(dental extraction in individuals with damaged heart valves). The bacterium has a polysaccharide coat that allows it to stick to teeth and also to the damaged heart valves. It produces acid from sugar in saliva and this promotes erosion of tooth enamel. Normal body defenses are usually adequate to prevent disease. Disease due to this bacterium can be prevented by mainataince of good oral hygeine and by regular dental checkup Reference: Textbook of Microbiology; Anathanarayan and panicker's; 10th edition; Page no: 221